Acedes aegypticus transmits -
1. JE
2. KFD
3. Yellow fever
4. Filaria

Correct answer: 3. Yellow fever

Explanation: aedes causes yellow fever,dengue,chickunguniya culex causes KFD,JE,filariasis anopheles -malaria